Most common cause of hyperthyroidism-
1. Thyroid hyperplasia
2. Thyroid adenoma
3. Thyroid carcinoma
4. Grave disease

Correct answer: 4. Grave disease